Which of the following is known as eighth day disease?
1. Puerperal tetanus
2. Tetanus neonatorum
3. Varicella
4. Measles

Correct answer: 2. Tetanus neonatorum

Explanation: Tetanus neonatorum is known as eighth day disease. The common cause of neonatal tetanus is infection of umbilical stump and signs usually appear about the 7th day. Ref: Park 21st edition, page 286.